A patient wanting to scratch for itching in his amputated limb is an example of:
1. Phantom limb hallucination
2. Reflex hallucination
3. Illusion
4. Pseudo hallucination

Correct answer: 1. Phantom limb hallucination

Explanation: -This is an example of phantom limb hallucination in which patient is getting sensations from a limb which has been amputated. - In reflex hallucinations, stimulus in one modality causes hallucinations in another modality. E.g- A patient reported that when he heard the sound of water falling from the tap, he would also start seeing the 'God' sitting in his room. -Illusion is false perception of a real object. E.g. Seeing a snake instead of the rope